In patients with cirrhosis of the liver the site of obstruction in the portal system is in the?
1. Hepatic vein
2. Post sinusoidal
3. Extra hepatic portal vein
4. Sinusoids

Correct answer: 4. Sinusoids

Explanation: Ans is d i.e. Sinusoids